Nerve roots involved at the Erb's point are
1. C5, C6
2. C5, C7
3. C6, C7
4. C7, C8

Correct answer: 1. C5, C6

Explanation: Erb's ParalysisThe site of injury: One region of the upper trunk of the brachial plexus is called Erb's point. Six nerves meet here. Injury to the upper trunk causes Erb's paralysis. Nerve roots involved; Mainly C5 and partly C6.Muscles paralyzed: Mainly biceps brachii, deltoid, brachialis, and brachioradialis. Partly supraspinatus, infraspinatus, and supinator. Deformity and position of the limbArm: Hangs by the side; it is adducted and medially rotated.Forearm: Extended and pronated.The deformity is known as policeman's tip hand' or waiter's tip hand or'porter's tip hand'. Disability: The following movements are lost: Abduction and lateral rotation of the arm at the shoulder joint.Flexion and supination of the forearm.Biceps and supinator jerks are lost.Sensations are lost over a small area over the lower part of the deltoid. Ref: Chaurasia; Volume 1; 6th edition; Page no: 56